Rapid urease positive test is done in -
1. H. Pylori
2. S. Aureus
3. Klebsiella
4. Staphylococcus

Correct answer: 1. H. Pylori